A 23 years old female patient complains of decreased mouth opening since 4 days. This could be due to:
1. Impacted third molar
2. Oral submucous fibrosis
3. Oropharyngeal fibrosis
4. Bony ankylosis of TMJ

Correct answer: 1. Impacted third molar